The classical example of muscular violence is
1. of fibula
2. of patella
3. of clavicle
4. all of the these

Correct answer: 2. of patella

Explanation: B i.e. of patella